Neostigmine is not able to cross blood brain barrier because of its
1. Primary structure
2. Secondary structure
3. Teritiary structure
4. Quaternary structure

Correct answer: 4. Quaternary structure

Explanation: Quaternary ammonium compounds are water soluble and thus cannot cross blood brain barrier neostigmine is a quaternary derivatives where as physostigmine is a teritiary amine Ref-KDT 6/e p101